What is the least common cause of seizures in AIDS patients?
1. Toxoplasmosis
2. Cerebral lymphoma
3. Progressive multifocal leukoencephalopathy
4. Cryptococcal meningitis

Correct answer: 3. Progressive multifocal leukoencephalopathy

Explanation: Most common causes of seizures in AIDS patients are cerebral toxoplasmosis(40%), primary CNS lymphoma(15 - 35%), cryptococcal meningitis(8%) and HIV encephalopathy(7 -50%). Seizures can also be caused by less common causes such as CNS tuberculosis, aseptic meningitis and progressive multifocal leukoencephalopathy.